Best site for IOL implantation –
1. Iris
2. Capsular bag
3. Anterior chamber
4. Sulcus

Correct answer: 2. Capsular bag

Explanation: The best position of IOL is within the capsular bag in posterior chamber.